All are true about Intertrochanteric fracture of femur except
1. Common than Fracture of neck of femur
2. Treatment is Proximal Femoral Nail or Dynamic Hip Screw
3. Assosciated with Malunion
4. Intracapsular

Correct answer: 4. Intracapsular

Explanation: Intertrochanteric area - Extra capsular Fracture of Neck of Femur Inter trochanteric fracture Intracapsular Extracapsular Less common More common 60 years 80 years Ext. rotation < 45 deg |Pain Cx-AVN>non union | swelling | Ext. Rotation >45 | Shortening Cx-malunion more common